Which of the following is not administered by intradermal route ?
1. BCG
2. Insulin
3. Mantoux
4. Drug sensitivity injection

Correct answer: 2. Insulin